In a child with exercise-induced asthma, which is done –
1. Prophylaxis with steroids
2. Prophylaxis with Beta, agonist
3. Prophylaxis with theophyline
4. Breathing excercise

Correct answer: 2. Prophylaxis with Beta, agonist

Explanation: Treatment of exercise-induced asthma 

Exercise-induced bronchospasm should be anticipated in all asthma patients.
Treatment immediately prior to vigorous activity or exercise is usually effective.
Treatment is -


Short-acting inhaled β-agonist plus cromolyn. or
Short-acting inhaled β-agonist plus nedocromil.